All of the following are contraindicated during pregnancy except:
1. Measles vaccine
2. Mumps vaccine
3. HPV vaccine
4. Rabies vaccine

Correct answer: 4. Rabies vaccine

Explanation: d. Rabies vaccine(Ref: IAP 334-335, Ghai 8/e p 202)Because rabies is a lethal disease there are no contraindications for post-exposure prophylaxis including infants, pregnant & lactating women.